The posture associated with the greatest lumbar intradiscal pressure is
1. Sitting, trunk flexed
2. Sitting, trunk erect
3. Standing, trunk flexed
4. Standing, trunk erect

Correct answer: 1. Sitting, trunk flexed

Explanation: Nachemson's studies showed the lowest intradiskal pressure occurred with the patient supine, followed by the lateral decubitus position. Sitting produced higher intradiskal pressures than standing, and pressures were increased in both positions by flexion of the trunk. The highest pressures encountered were with the patient sitting with the trunk flexed.